Definitive host is one in which the follow ing lives -
1. Larvae
2. Asexual form
3. Adult form
4. None

Correct answer: 3. Adult form

Explanation: Ans. is 'c' i.e., Adult form Definitive host In which the parasite utilises the sexual method of reproduction. o So, definitive host harbours adult worm. Intermediate host Herbours the larval stages (asexual multiplication). Paratenic (Carrier or transport) host Where the parasite remains viable without further development.